Which nerve is most commonly affected in diabetic mononeuropathy:
1. Optic
2. Oculomotor
3. Facial
4. Vagus

Correct answer: 2. Oculomotor

Explanation: Ans. B i.e. Oculomotor